Combined OCPs can be used in all conditions except
1. Fibroadenoma
2. Breast cancer
3. Ectopic pregnancy
4. Iron deficiency anemia

Correct answer: 2. Breast cancer

Explanation: Breast cancer is an absolute contraindication for the use in Breast cancer.